All of the following structures are developed from Septum transversum, EXCEPT:
1. Coronary ligament
2. Falciform ligament
3. Lesser omentum
4. Ligamentum teres hepatica

Correct answer: 4. Ligamentum teres hepatica

Explanation: Structures developed from septum transversum:1. Diaphragm (central tendon)2. The fibrous pericardium3. The falciform ligament4. The stroma and capsule of the liver5. The triangular and coronary ligaments6. The lesser omentum The round ligament of the liver (ligamentum teres hepatica) is an embryological remnant of the umbilical vein.